Most common cause of Budd-Chiari syndrome is:
1. Hepatic vein valves
2. Hypercoagulable state in Nephrotic syndrome
3. PNH
4. Polycythemia vera

Correct answer: 4. Polycythemia vera

Explanation: Primary Budd-Chiari syndrome (75%): thrombosis of the hepatic vein Secondary Budd-Chiari syndrome (25%): compression of the hepatic vein by an outside structure (e.g. a tumor) The cause for the disease cannot be found in about half of the patients. Hepatic vein thrombosis is associated with the following in decreasing order of frequency: Polycythemia vera": is a primary,absolute erythrocytosis. The EPO levels are suppressed causing alow to normal EPO in the blood. Pregnancy Post partum state Use of oral contraceptives Paroxysmal nocturnal hemoglobinuria Hepatocellular carcinoma Lupus anticoagulant